Eutectic lignocaine-prilocaine has the following unique property
1. It causes motor blockade without sensory block
2. By surface application, it can anaesthetise unbroken skin
3. It is not absorbed after surface application
4. It has strong vasoconstrictor action

Correct answer: 2. By surface application, it can anaesthetise unbroken skin

Explanation: Eutectic lidocaine/prilocaine:- This is a unique preparation which can anaesthetise intact skin after surface application. Eutectic mixture refers to lowering of melting point of two solids when they are mixed. This happens when lidocaine and prilocaine are mixed in equal proportion at 25degC. The resulting oil is emulsified into water to form a cream that is applied under occlusive dressing for 1 hr before i.v. cannulation, split skin graft harvesting and other superficial procedures. Ref:-kd tripathi; pg num:-366